Measure of primary prevention of hypertension include all of the following except -
1. Weight reduction
2. Exercise promotion
3. Reduction of salt intake
4. Early diagnosis of hypertension

Correct answer: 4. Early diagnosis of hypertension

Explanation: Early diagnosis and treatment is included in secondary prevention. Ref- Park's textbook of Preventive and Social Medicine 24th edition.